The true statement about deafness in the case of alport syndrome is:
1. High-tone conductive deafness
2. Congenetal deafness
3. Deafness always accompanied by evidence of renal disease
4. Deafness is fast progressing

Correct answer: 3. Deafness always accompanied by evidence of renal disease

Explanation: Deafness in alport syndrome: 1. High-tone sensorineural deafness occurs in 55-83% of males 2. Deafness is never congenital 3. Always accompanied by renal impairment 4. The hearing defect is clinically apparent at an average age of 11 years 5. Deafness is slowly progressive in childhood, but usually static in adult life Audiometry reveals a bilateral reduction in sensitivity to tones in the 2,000-8,000 Hz range (high-tone) Ref: Dan Med Bull 2009;56:105-52